Gastric secretion is increased by all except
1. Histamine
2. Acetylcholine
3. Gastrin
4. HCI

Correct answer: 4. HCI

Explanation: Gastrin, histamine, and acetylcholine are the 3 agonists of the parietal cells.Gastrin and acetylcholine promote secretion by elevating cytosolic free calcium concentration.Histamine increases intracellular cAMP.Both this pathways together have more than additive effect on secretion rates Ref: Ganong's Review of medical physiology, 23 rd edition, page 434